Common facial vein drains into
1. Internal jugular vein
2. External jugular vein
3. Subclavian vein
4. Suboccipital veinous plexus

Correct answer: 1. Internal jugular vein

Explanation: Key concept:
The superﬁcial temporal vein descends in front of the tragus, enters the parotid gland, and joins the maxillary vein to form the retromandibular vein. The anterior division of the retromandibular vein unites with the facial vein to form the common facial vein which drains into the internal jugular vein.